Pogonion is present on
1. Submentum in neck
2. Hyoid bone
3. Lowest point on mandible symphysis
4. Anterior most point on contour of chin

Correct answer: 4. Anterior most point on contour of chin

Explanation: Pogonion is anterior most point on chin.